The physiological dead space is decreased by:
1. Upright position
2. Positive pressure ventilation
3. Neck flexion
4. Emphysema

Correct answer: 3. Neck flexion

Explanation: Ans. is 'c' i.e., Neck flexion FactorEffectPosture UprightincreaseSupinedecreasePosition of airway Neck extensionincreaseNeck flexiondecreaseAgeincreaseArtificial airwaydecreasePositive pressure ventilationincreaseAnticholinergic drugsincreasePulmonary perfusion Pulmonary emboliincreaseHypotensionincreaseEmphysemaincrease Factors affecting dead space.